Which of the following statements is true ?
1. Chronic myeloid leukemia occurs beyond 50 years of age
2. Hairy cell leukemia in less than 50 years has a good prognosis
3. Acute lymphoid leukemia in less than 1 year has a poor prognosis
4. Chronic lymphocytic leukemia occurs in less than 50 years of age

Correct answer: 3. Acute lymphoid leukemia in less than 1 year has a poor prognosis

Explanation: Ans. is 'c' i.e., Acute lymphoid leukemia in less than 1 year has a poor prognosis o Age <1 year and >10 years at the time of diagnosis of ALL is considered an adverse prognosis. o The median age at presentation of CML is approximately 50 years. The incidence of CML increases slowly with age until the middle forties where it starts to rise rapidly. o The median age of onset of hairy cell leukemia is 52 years. o CLL is considered to be mainly disease of the elderly with a median age at diagnosis of 70 years